. Which of the antiglaucoma drug is contraindicated in sulfonamide hypersensitivity ?
1. 3-blockers
2. Pilocarpine
3. Acetazolamid
4. Prostaglandin analogues

Correct answer: 3. Acetazolamid

Explanation: . Ans. is 'c' i.e., Acetazolamide Carbonic anhydrase inhibitors (acetazolamide) are contraindicated in sulfonamide hypersensitivity. Important contraindications of topical agents of POAG 13-blockers (non-selective) :- Asthma, COPD, CHF, sinus bradycardia, AV block Cholinomimetic (Pilocarpine) :- Uveitis Sympathomimetic agentsq Dipiveferine :-Angle closure glaucoma, cardiovascular disease. Brimonidine, Apraclonidine :- Use of MAO inhibitors, hypertensive crisis, Parkinsonism. Carbonic anhydrase inhibitors :- Hypersensitivity to sulfonamide, eye injury Prostaglandin analogues :- Ocular inflammation or infection